Active and passive immunity should be given together in all except
1. Tetanus
2. Rabies
3. Measles
4. Hepatitis B

Correct answer: 3. Measles

Explanation: Measles may be prevented by administration of immunoglobulin early in the incubation period. The person passively immunized should be given live measles vaccine 8-12 weeks later. The need for immunoglobulin has now reduced because of the availability of an effective live attenuated vaccine (refer pgno 149 park 23 rd edition)